Saheli or Centchroman contains
1. Estrogen + progesteron
2. Raloxifene
3. Ormeloxifene
4. Steroid

Correct answer: 3. Ormeloxifene